Insulin increases the following pathways in liver EXCEPT:
1. Fatty acid synthesis
2. Glycogen synthesis
3. Protein synthesis
4. Glucose synthesis

Correct answer: 4. Glucose synthesis

Explanation: Hormonal regulation

Insulin generally favours all pathways which decrease blood glucose level by dephosphorylating the regulatory enzymes of these pathways
In other words enzymes active under the influence of insulin is active in the dephosphorylated state.
Glucagon generally favor all pathways which increase blood glucose level by phosphorylating the regulatory enzymes of these pathways
In other words enzymes active under the influence of glucagon is active in the phosphorylated state.